Which one does not cause VII Nerve palsy :
1. ASOM
2. Herpes zostey
3. Parotid tumor
4. Pertusis

Correct answer: 4. Pertusis

Explanation: Ans. is 'd' ie Pertussis Causes of Facial ParalysisCentralBrain abcessPontine gliomas*Poliomyelitis*Multiple sclerosis*Intracranial PartAcoustic neuroma*Meningioma*Congenital cholesteatomaMetastatic CaMeningitisInfratemporal partIdiopathicBell's palsy*Melkersson syndrome*InfectionsASOM*CSOM*Herpes zoster*Malignant otitis externaTrauma of temporal bone*Surgical Mastoidectomy*Surgical StapedectomyNeoplasmMalignancies of external & middle earGlomus jugulare neuromas*Facial nerve neuromasMetastasis to temporal boneExtra cranial partMalignancy of parotidSurgery on parotidObstetrical facial injurySystemic diseaseDiabetes mellitus*Hypothyroidism*Uremia*PAN*Wegner's granulomatosis*Sarcoidosis*LeprosyLeukemiaDemyelinating ds